The risk factor for suicide is?
1. Increased serotonin
2. Drug abuse
3. Female sex
4. Married person

Correct answer: 2. Drug abuse

Explanation: Ans.B-Drug abuseCauses/Risk factors for suicidePsychiatric disorders: - Depression (most common), alcoholism (2nd mc), Drug/Substance dependence, Schizophrenia, Dementia.Physical illness: - Cancer, AIDS, Multiple sclerosis, Head trauma.Psychosocial factors: - Failure in love, marital difficulties, family dispute, illegitimate pregnancy.Biological factors: - Decrease in serotoninOther - Male sex, Age > 40 years, Single (Unmarried, divorced or widowed), previous suicide attempt, social isolation.